A 30 year old male had severely itchy papula-vesicular lesions on both knees, elbows, upper back and buttocks for one year. Direct immunofluorescence staining of the lesions showed IgA deposition at dermoepidermal junction and dermal papilla. The most probable diagnosis is :
1. Pemphigus vulagris
2. Bullous pemphigoid
3. Dermatitis herpetiforms
4. Nummular eczema

Correct answer: 3. Dermatitis herpetiforms

Explanation: C i.e. Dermatitis herpetiformis